The most preferred approach for pituitary surgery at the present time is
1. Transcranial
2. Transethmoidal
3. Transphenoidal
4. Transcallosal

Correct answer: 3. Transphenoidal

Explanation: Most pituitary tumors are approached through the nose by the trans-sphenoidal approach" - Schwartz Ref : Schwartz, 9/e p1541